Mammary gland is a type of:
1. Modified sweat gland
2. Ceruminous gland
3. Sebaceous gland
4. Holocrine gland

Correct answer: 1. Modified sweat gland

Explanation: Mammary gland is a modified sweat of apocrine variety.